Pearls index
1. Per 10 woman years
2. Per 100 woman years
3. Per 1000 woman years
4. Per 10,000 woman years

Correct answer: 2. Per 100 woman years

Explanation: Pearl index is defined as the number of failures per 100 woman years of exposure (HWY) Failure rate per Hundred Women Years = Total accidental pregnancies X 1200/ Total months of exposure Reference : Park's textbook of preventive and social medicine, 23rd edition, Page no: 510